Which important component of cell wall has carbohydrate moiety?
1. Phosphoglyceride
2. Triacylglycerol
3. Sphingomyelin
4. GM2 Gangliosides

Correct answer: 4. GM2 Gangliosides

Explanation: This group of glycosphingolipids contains one or more sialic acid residues. They are present in high concentrations in the CNS and also on surface of membranes. The major gangliosides of brain are GM1, GM2, and GM3. For ganglioside synthesis, the active form of NANA (N-acetyl neuraminic acid) used is its CMP derivative. The NANA is attached by the hydroxyl group of its 2nd carbon to the 3rd hydroxyl group of sugars.Ref: DM Vasudevan, page no: 168